Screening tests could give high false positives if it satisfies which of the following epidemiologcal parameter?
1. High specificity
2. High sensitivity
3. High prevalence
4. Low prevalence

Correct answer: 4. Low prevalence

Explanation: More prevalent disease gives less is the number of false positive. Less prevalent disease gives more is the number of false positive. Highly specific screening test gives few false positive. Highly sensitive screening test gives few false negative.